Which of the following is not true regarding Typhoid carrier?
1. Convalescent carriers excrete the organism for 6 - 8 weeks
2. Chronic carriers excrete bacilli for many years
3. Chronic carrier state is associated with presence of bacilli in gall bladder
4. Urinary carrier is more common than fecal carrier

Correct answer: 4. Urinary carrier is more common than fecal carrier

Explanation: Fecal carrier is more common than urinary carrier but urinary carrier is more dangerous. Convalescent Carrier: Sheds typhoid bacilli for 3 or more months after onset of acute illness. Chronic Carrier: Sheds typhoid bacilli for more than 12 months after onset of acute illness; or has no history of typhoid fever or had the disease more than 1 year previously, but has two feces or urine cultures positive for S. typhi separated by 48 hours. Other Carrier: Typhoid bacilli have been isolated from surgically removed tissues, organs, or from draining lesions.